Area under Normal curve with ±1 SD:
1. 0.68
2. 0.17
3. 0.12
4. 0.34

Correct answer: 1. 0.68

Explanation: The area under Normal curve with ± 1 SD is 0.68.